Anaesthetic agent contraindicated in Emphysema is –
1. N2O
2. Halothane
3. Ether
4. Isoflurane

Correct answer: 1. N2O